Thayer Main medium is used for ?
1. Legionella
2. Meningococcus
3. Pneumococcus
4. Mycoplasma

Correct answer: 2. Meningococcus

Explanation: Ans. is 'b' i.e., Meningococcus